Bone morphogenic protein receptor 2 gene abnormality seen in
1. Interstitial lung disease
2. Pulmonary artery hypertension
3. cystic fibrosis
4. Diaphragmatic weakness

Correct answer: 2. Pulmonary artery hypertension

Explanation: primary pulmonary hypertension is idiopathic (BMPR gene abnormality).